A biopsy of affected skin in Pemphigus vulgaris would show which of the following?
1. Acantholysis
2. Balloon degeneration
3. Reticular changes
4. Spongiosis

Correct answer: 1. Acantholysis

Explanation: The pathologic changes in pemphigus vulgaris are acantholysis, clefts, and blister formation in the intraepidermal areas. Acantholysis is the separation of keratinocytes from one another. The loss of cohesion or contact between cells begins with the detachment of tonofilaments from desmosomes. Evidence indicates that an IgG autoantibody actually induces these changes. Good to know: Balloon degeneration and reticular changes are both histologic markers of herpes simplex viral-induced lesions. Spongiosis is a general term referring to serous exudates between cells of the epidermis, with an inflammatory infiltrate in the dermis. This is frequently seen in dermatitis lesions. Ref:Longo D.L., Fauci A.S., Kasper D.L., Hauser S.L., Jameson J.L., Loscalzo J. (2012). Chapter 54. Immunologically Mediated Skin Diseases. In D.L. Longo, A.S. Fauci, D.L. Kasper, S.L. Hauser, J.L. Jameson, J. Loscalzo (Eds), Harrison's Principles of Internal Medicine, 18e.